Porosity in porcelain at condensation stage depends on:
1. Shape and size of particle
2. Uniform distribution of particle size
3. Number of particles
4. None of the above

Correct answer: 1. Shape and size of particle